A newborn baby has a prominent defect at the base of his spine through which his meninges and spinal cord protrude. A failure of which of the following processes is the most common cause of this type of defect?
1. Development of primary vertebral ossification centers
2. Development of the pedicle
3. Development of the superior articular process
4. Fusion of the vertebral arches

Correct answer: 4. Fusion of the vertebral arches